A young woman with ataxia-telangiectasia syndrome.For each patient with a medical condition, select the most likely immune dysfunction.
1. B-cell deficiency/dysfunction
2. mixed T- and B-cell deficiency/dysfunction
3. T-lymphocyte deficiency/dysfunction
4. neutropenia

Correct answer: 2. mixed T- and B-cell deficiency/dysfunction

Explanation: Ataxia-telangiectasia and both T- and B-cell dysfunction.Multiple myeloma and chronic lymphocytic leukemia are two of the more common causes of B-cell deficiency/dysfunction. Hodgkin's disease, AIDS, sarcoidosis, and thymic aplasia or hypoplasia result in T-lymphocyte depletion/dysfunction. SLE has been associated with C3 deficiency, but most severe complement deficiencies result from inherited disorders. Ataxia telangiectasia, common variable hypogammaglobulinemia, severe combined immunodeficiency, and Wiskott-Aldrich syndrome have mixed T- and B-cell deficiency.